Best blood product to be given in a patient of multiple clotting factor deficiency with active bleeding
1. Fresh frozen plasma
2. Whole blood
3. Packed RBCs
4. Cryoprecipitate

Correct answer: 1. Fresh frozen plasma

Explanation: Refer Robbins page no 664